The joint that permits nodding of head while saying yes is:
1. Atlanto-axial joint
2. Atlanto-occipital joint
3. C2- C3 joint
4. C3- C4 joint

Correct answer: 2. Atlanto-occipital joint

Explanation: Atlanto-occipital joint is a synovial between skull and C1 vertebrae. It permits nodding of head such as flexison and extension (YES movement) and lateral flexion. Atlanto-axial joint is a pivot joint between C1 and C 2 vertebrae. It permits rotation of head that is side to side movement (NO movement). Ref: Keith moore clinical anatomy, 4th Edition, Page 459.